Bat is the reservior for,
1. Japanese encephalitis
2. Ebola
3. Zika
4. Malaria

Correct answer: 2. Ebola